Lymphatics from the spongy urethra drain into which of the following lymph nodes:
1. Sacral nodes
2. Deep inguinal nodes
3. Internal inguinal nodes
4. Superficial inguinal nodes

Correct answer: 2. Deep inguinal nodes

Explanation: Lymphatics from glans penis, prostatic urethra, spongy urethra and superficial inguinal nodes drains into deep inguinal lymph nodes. Ref: Grant's Atlas of Anatomy By A M R Agur, 13th Edition, Page 233